EEG is usually abnormal in all of the following conditions, EXCEPT:
1. Hepatic encephalopathy
2. Locked - in state
3. Creutzfoldt - Jackob disease
4. Subacute sclerosing panencephalitis

Correct answer: 2. Locked - in state

Explanation: Locked-in state is a type of pseudocoma in which an awake patient cannot speak or make any voluntary movement but retains the ability to make vertical eye movements and lid elevation. On examination pupils are normally reactive. It is caused by infarction or hemorrhage in the ventral pons that transects descending corticospinal and corticobulbar pathways. In locked in state the EEG can be either normal or minimally slow. Ref: Harrison's Internal Medicine, 18th Edition, Chapters 274, 381; Clinical Neurology By Roger P. Simon, 7th Edition, Chapter 1; Current Medical Diagnosis and Treatment 2012, Chapter 32